On TVS which of the following shape of cervix indicates high chances of miscarriage :
1. T
2. Y
3. U
4. O

Correct answer: 3. U

Explanation: Cervical assessment by transvaginal ultrasound is gaining popularity.Abdominal ultrasound may give an enormous value due to the full bladder.Cervical length less than 25 mm at 24 weeks may be predictive of preterm delivery refer pgno:193 sheila textbook of obstetrics 2 nd edition